Insulin resistance down-regulates -
1. GLUT-1
2. GLUT-2
3. GLUT-3
4. GLUT-4

Correct answer: 4. GLUT-4

Explanation: Ans. is 'd' i.e., GLUT-4 * Insulin stimulated glucose uptake occurs through GLUT-4.